Characteristic features of Rokitansky - Kuster Hauser syndrome are all of the following except:
1. Absent uterus
2. Absent vagina
3. Anovulation
4. 46 - XX

Correct answer: 3. Anovulation